The most important advese effect of sotalol is?
1. Torsades de pointes
2. Heart block
3. Pulmonary fibrosis
4. Vomiting

Correct answer: 1. Torsades de pointes

Explanation: Ans. is 'a' i.e., Torsades de pointes Sotalol It is a nonselective -blocker. It prolongs the action potential (class 3 antiarrhythmic). Sotalol is well absorbed orally with bioavailibility of 100%. It is not metabolized in liver. Excretion is predominantly by kidney in the unchanged form. The most significant cardiac adverse effect is dose related torsade de points. (Polymorphic ventricualr tachycardia).